Following is not a feature of AIDS related lymphadenopathy
1. Florid reactive hyperplasia
2. Follicle lysis
3. Haematoxylin bodies
4. Collection of monocytoid B cells in sinuses

Correct answer: 3. Haematoxylin bodies

Explanation: Ref Robbins 9/e p256 Early stages of HIV reveal a marked follicular hyperplasia Monocytoid cells along the blood vessels can be seen in acute lymphadenitis With the disease progession_ severe follicular involution is seen During the advanced stage - viral burden in the nodes reduces in part because of the disruption of follicular dendritic cells ..These burnt out lumph nodes are atropic and small